Dental papilla give rise to ?
1. Enamel
2. Dental cuticle
3. Tooth pulp
4. None

Correct answer: 3. Tooth pulp

Explanation: Ans. is 'c' i.e., Tooth pulp The mesenchymal cell's of dental papillae forms : Odontoblasts which form dentine Tooth pulp